All of the following vascular changes are observed in acute inflammation, except -
1. Vasodilation
2. Stasis of blood
3. Increased vascular permeability
4. Decreased hydrostatic pressure

Correct answer: 4. Decreased hydrostatic pressure

Explanation: Ans is 'd' i.e., Decreased hydrostatic pressure With acute inflammation hydrostatic pressure is increased (due to increased blood flow from vasodilation) and at the same time osmotic pressure is reduced because of protein leakage (due to increased permeability)